pseudorosettes are seen in -
1. Retinoblastoma
2. Ophthalmic nodosa
3. Phakolytic glaucoma
4. Trachoma

Correct answer: 1. Retinoblastoma

Explanation: Flexner wintersteiner rosettes , homer wright rosette , fleurettes and pseudorosettes are seen. Ref: ak khurana 6th edition